Anesthetic management of 30 yr old lady with myasthenia gravis includes all of the following except
1. Regional anesthesia
2. Corticosteroids
3. Dose of anticholinesterase to be decreased
4. Generous doses of opioids

Correct answer: 4. Generous doses of opioids

Explanation: Opioids as such does not cause muscle weakness but generous dose can cause central respiratory depression. Regional anaesthesia is preferred in Myasthenia Gravis . If General Anaesthesia is given use of neuromuscular blocker is avoided. if neuromuscular blocker is used depending upon requirement of surgery then less dose is used and we wait for reversal to happen as anticholinesterase like neostigmine is avoided, intravenous opioid can be given to these patients.